True about frostbite are all, except:
1. Occurs due to extreme cold
2. Formation of ice crystals within tissues
3. Rewarming is not done
4. Seen in fingers and toes

Correct answer: 3. Rewarming is not done

Explanation: Ans. Rewarming is not done